Goal is defined as ?
1. Planned end-point of all activities
2. Planned discrete activity for the programme
3. Ultimate desired state
4. All of the above

Correct answer: 3. Ultimate desired state

Explanation: Ans. is 'c' i.e., Ultimate desired state A goal is defined as the ultimate desired state towards which objectives are directed. Goals are not necessarily attainable. Unlike objectives and targets, goals are not constrained by time or existing resources.